Time taken for capacitation of sperms is
1. 2-4 hours
2. 4-6 hours
3. 6-8 hours
4. 8-10 hours

Correct answer: 3. 6-8 hours

Explanation: Capacitation is the process of reconditioning of the sperm, making it more suitable for penetration into the ovum. 
It takes about 6-8 hours and occurs in FGT chiefly in the tubes.